Which drug causes bull's eye macula:
1. Phenytoin
2. Chloroquine
3. Steroids
4. Ethambutal

Correct answer: 2. Chloroquine

Explanation: Ans. Chloroquine